All the following features are associated with Chancroid except-
1. Painful ulcer
2. Painless lymphadenopathy
3. School of fish appearance on staining
4. Azithromycin is useful in treatment

Correct answer: 2. Painless lymphadenopathy

Explanation: Ans is 'b' i.e. Painless lymphadenopathy* Chancroid is associated with painful suppurative inguinal lymphadenopathy.Chancroid (soft chancre/soft sore)* Chancroid is an STD caused by H.ducreyi, a gram negative cocobacilli. Incubation period of chancroid is 1-7 days. Clinically it is characterized by: -i) Multiple ulcersii) Non-indurated or soft indurationiii) Painful (Tender)iv) Bleed easilyv) Undermined, sloughed erythematous edgesvi) Painful suppurative inguinal lymphadenopathyDiagnosis & Treatment* Gram's staining of swab from the lesion may reveal a predominance of characteristic gramnegative coccobacilli, arranged in parallel chains giving a "School offish" or "rail road track" appearance. An accurate diagnosis relies on cultures of H.ducreyi from the lesion.* Azithromycin is the DOC for treatment. Ceftriaxoney Ciprofloxacin & erythromycin are alternatives.